Which of the following does not contribute to the development of diaphragm?
1. Septum transversum
2. Pleuroperitoneal folds
3. Body wall
4. Septum primum

Correct answer: 4. Septum primum

Explanation: Diaphragm develops from the following sources. 1.Septum transversum forms the central tendon. 2.Pleuroperitoneal membranes form the dorsal paired portion. 3. Lateral thoracic wall contributes to the circumferential portion of the diaphragm. 4. Dorsal mesentry of esophagus forms the dorsal unpaired portion. Ref.B D Chaurasia's human anatomy vol.2